Most radiosensitive tumor of the following is-
1. Supraglottic Ca
2. Ca glottis
3. Ca nasopharynx
4. Subglottic ca

Correct answer: 3. Ca nasopharynx